If a body is left undisturbed, for how long does post mortem staining persists -
1. Few hours
2. Few days
3. Few month
4. Persists till merges with discolouration of putrefaction

Correct answer: 4. Persists till merges with discolouration of putrefaction